After cesarean section under general anesthesia, where the baby and placenta are easily delivered, the uterus is noted to be boggy and atonic despite intravenous infusion of oxytocin. All of the following are appropriate agents to use next except ?
1. Methylergonovine (Methergine) administered intramuscularly
2. Prostaglandin F2a suppositories
3. Misoprostol suppositories
4. Terbutaline administered intravenously

Correct answer: 4. Terbutaline administered intravenously

Explanation: Methylergonovine, prostaglandin F2a, prostaglandin E1 (Misoprostol), and prostaglandin E2 are all uterotonic agents than can be used in situations where there is a postpartum hemorrhage due to uterine atony. Terbutaline is a tocolytic that is used to promote uterine relaxation for preterm labour, a disastrous option in this case.